What % of testicular Ca is associated with cryptorchidism -
1. 10%
2. 30%
3. 50%
4. 70%

Correct answer: 1. 10%

Explanation: Approx. 10% of testicular tumours are associated with cryptorchidism and higher the location of the undescended testes (intraabdominal versus inguinal), the greater is the risk of cancer.